A patient was diagnosed with an isolated increase in LDL. His father and brother had the same disease with increased cholesterol. The likely diagnosis is
1. Familial type III hyperlipoproteinemia
2. Abetalipoproteinemia
3. Familial lipoprotein lipase deficiency (type 1)
4. LDL receptor mutation

Correct answer: 4. LDL receptor mutation

Explanation: LDL receptor mutation 

Isolated increase in LDL with positive family history suggests the diagnosis of familial hypercholesterolemia.
Familial hypercholesterolemia (type IIa) is due to deficiency of functional LDL receptors as a result of different types of mutations.